Emerging infection in Ind ia is -
1. Chikungunya
2. Hanta virus
3. Ebola virus
4. None

Correct answer: 1. Chikungunya

Explanation: Ebola is found in Africa ,Asia ,the United States. Hanta virus is seen in United states.chikungunya is seen in India(Ref.PARK'S TEXTBOOK OF PREVENTIVE AND SOCIAL MEDICINE 21st Edition page no.331)